Acridine orange is a fluorescent dye used to bind?
1. DNA and RNA
2. Protein
3. Lipid
4. Carbohydrates

Correct answer: 1. DNA and RNA

Explanation: Ans. (a) DNA and RNARef: Harrison /150e-2* Acridine orange is a nucleic acid selective-fluorescent cationic dye useful for cell cycle determination.* It is cell-permeable, and interacts with DNA and RNA by intercalation or electrostatic attractions respectively and emits green and red right respectively.* Acridine orange can be used in conjunction with ethidium bromide to differentiate between live and apoptotic cells.